The inquiry into the circumstances of death is called -
1. Homicide enquiry
2. Inquest
3. Open verdict
4. Adjourned verdict

Correct answer: 2. Inquest

Explanation: An inquest is a legal inquiry into the circumstances & cause of death, in cases of sudden, suspicious, or unnatural deaths. AN INQUEST IS AN ENQUIRY INTO THE CAUSE OF DEATH. or AN INQUEST IS A LEGAL INQUIRY INTO THE CIRCUMSTANCES AND THE CAUSE OF DEATH OF A DECEASED PERSON IN CASES OF SUDDEN, SUSPICIOUS AND UNNATURAL DEATHS. POLICE INQUEST. Conducted by an officer in charge of a police station. Its usually conducted by an officer of the rank of sub inspector of police. The police officer making the inquest is known as investigating officer(I.0.). Police inquest is conducted under S.174 of Cr PC if the police officer in charge receives information that a person has committed suicide, or has been killed by another or by an animal or by machinery or by an accident, or has died under circumstances raising a reasonable suspicion that some other person has committed an offence. Before the inquest is done by police it should be informed to the executive magistrate of the area. The inquest report prepared by the police is known as Panchnama. In case of any doubt regarding the cause of death or in case of any unnatural the body of deceased is sent by investigating officer for autopsy to the concerned medical officer with the inquest report. Magistrate inquest is conducted in case of o Death in prison o Death in police custody and while under police interrogation o Death due to police firing o Death in a psychiatric hospital o Dowry deaths o Exhumation (S.174(4) and 176, S.CrP.C) coroners inquest According to Coroner's Act 1871 coroner's inquest existed in Mumbai. Coroner used to be a special officer appointed by the government to inquire into causes of unnatural deaths. The Coroner was required to have a legal qualification and is usually an advocate. attorney, pleader, or first class magistrate. or a transferred metropolitan magistrate (all of whom must have a minimum of five years experience in the legal field). He held the rank of a First Class Judicial Magistrate. The coroners court was a court of inquiry and not a trial court. After conducting an enquiry into the cause of death, if the Coroner found ample evidence against some suspect. he would forward a copy of his inquisition report to the Commissioner of Police, and he would take further action in this regard Coroner's court was discontinued on 29 July 1999. From: V.V. pillai, pg no 2 (16 edition)